Buschke Lowentein tumour is
1. Condyloma lata
2. Molluscan contagious
3. Benign lesion of penis
4. Verrucous carcinoma of penis

Correct answer: 4. Verrucous carcinoma of penis

Explanation: Buschke Lowentein tumour :

it is locally invasive cancer.
Histological pattern is similar to verrucous cancer.